Sarcoma botryoids is a type of
1. Rhabdomyoma
2. Rhabdomyosarcoma
3. Lymphangioma
4. Leiomyoma

Correct answer: 2. Rhabdomyosarcoma

Explanation: Sarcoma botryoides or botryoid sarcoma or botryoid rhabdomyosarcoma is a subtype of embryonal rhabdomyosarcoma, that can be observed in the walls of hollow, mucosa-lined structures such as the nasopharynx, common bile duct, urinary bladder of infants and young children or the vagina in females, typically younger than age 8. The name comes from the gross appearance of "grape bunches". Ref:- https://en.wikipedia.org/wiki/Sarcoma_botryoides